Subdural hemorrhage is due to rupture of:
1. Middle meningeal artery
2. Dural venous sinus
3. Cortical bridging veins
4. Rupture of intracranial aneurysms

Correct answer: 3. Cortical bridging veins

Explanation: Ans. Cortical bridging veins